A 23 year old male who is otherwise normal complains of mild pain in his right iliac fossa in a waveform pattern which increases during the night and he becomes exhausted and is admitted in the hospital. On examination there is mild hematuria. Urine examination reveals plenty of RBCs, 50WBCs/hpf. Urine pH is 5.5. Most likely diagnosis is:
1. Glomerulonephritis
2. Ca-Urinary bladder
3. Ureteral calculus
4. Cystitis

Correct answer: 3. Ureteral calculus

Explanation: Ans. is 'c' ie. Ureteral calculus The patient's clinical picture is typical of ureteric calculus.Colicky renal pain associated with hematuria is suggestive of ureteric stone although a clot from a bleeding renal tumor can cause the same type of pain.A ureteric calculus pain is almost invariably associated with hematuria.Leukocytes in urine can be seen with urolithiasis.